In which of the following disease, NAA peak is seen?
1. Tuberculoma
2. Tumors
3. Canavans disease
4. Meningioma

Correct answer: 3. Canavans disease

Explanation: Canavan disease, also known as spongiform degeneration of white matter (not to be confused with Creutzfeldt-Jakob Disease) or aspartoacylase deficiency,is a leukodystrophy clinically characterized by megalencephaly, severe mental and neurological deficits, and blindness. It is an autosomal recessive disorder characterized by a genetic mutation on the short arm of chromosome 17. There is a deficiency of N-acetylaspartoacylase, a key enzyme in myelin synthesis, with resultant accumulation of N-acetyl aspartate in the brain, CSF, plasma, and urine. MRS (Magnetic Resonance Spectroscopy) of Canavan Disease shows NAA peak at 2 ppm. Other salient points: Alanine peak is seen at 1.48ppm in meningioma. Lipid lactate peak is seen at 1.33ppm in tuberculoma.